Defective phagolysosome is feature of?
1. Chronic Granulomatous Disease
2. Chediak - Higashi - syndrome
3. Ataxia telangiectasia
4. Fanconi Anemia

Correct answer: 2. Chediak - Higashi - syndrome

Explanation: Inherited defects in phagolysosome function. One such disorder is Chediak-Higashi syndrome, Autosomal recessive condition Defective fusion of phagosomes and lysosomes, resulting in defective phagocytes function and susceptibility to infections. The main leukocyte abnormalities are:- Neutropenia Defective degranulation Delayed microbial killing The gene associated with this disorder encodes a large cytosolic protein called LYST, which is believed to regulate lysosomal trafficking.